Which of the following is not a framingham major criteria for the diagnosis of heart failure?
1. Paroxysmal nocturnal dyspnea
2. Cardiomegaly
3. S3 Gallop
4. Hepatomegaly

Correct answer: 4. Hepatomegaly

Explanation: Hepatomegaly Major or minor Weight loss 4.5 kg over 5 days t/t. To establish a clinical diagnosis of congestive heart failure by these criteria at least one major and two minor criteria are required.